'Sindoor' used by ladies is:
1. Lead acetate
2. Lead tetroxide
3. Lead chromate
4. Lead carbonate

Correct answer: 2. Lead tetroxide

Explanation: Ans. B i.e. Lead tetroxide